A pure tone audiogram with a dip at 2000 Hz is characteristic of-
1. Presbyacusis
2. Ototoxicity
3. Otosclerosis
4. Noise induced hearing loss

Correct answer: 3. Otosclerosis

Explanation: Dip at 2000 Hz in PTA called as carharts notch is characteristic of otosclerosis.